Commotio retinae affect which part of the retina?
1. Posterior pole
2. Peripheral retina
3. Inferior-nasal part
4. Superior-nasal part

Correct answer: 1. Posterior pole

Explanation: (Refer: AK Khurana Comprehensive Ophthalmology, 6th edition, pg no. 431) Berlin's edema, also called commotion retinae, occurs in blunt trauma to the eyeIt manifests as milky white cloudiness involving a considerable area of the posterior pole with a 'cherry-red' spot in the foveal regionIt may disappear after some days or may be followed by pigmentary changes Commotio Retinae or Berlin's Oedema is grey-white discolouration of the retina due to disruption of outer segment photoreceptor layer following blunt trauma. This is caused due to contrecoup injury. Shock waves caused due to impact traverses the fluid- filled eye and then strike retina